\r\nWhich of the following heavy metal poisoning may cause colitis that resembles diptheritic colitis?
1. Lead
2. Arsenic
3. Mercury
4. Copper

Correct answer: 3. Mercury

Explanation: Mercury colitis may resemble diptheritic colitis. Ref: Environmental and Chemical Toxins and Psychiatric Illness By James S Brown, Page 162; The Journal of Experimental Medicine